Combination clasp consist of
1. Wrought wire reciprocal arm and cast retentive arm
2. Wrought retentive arm and cast reciprocal arm
3. Wrought reciprocal and wrought retentive arm
4. Cast retentive and cast reciprocal arm

Correct answer: 2. Wrought retentive arm and cast reciprocal arm